All are used in the treatment of endometriosis except :
1. Progesterone
2. Danazol
3. GnRH
4. Estrogen

Correct answer: 4. Estrogen

Explanation: Ans. is d i.e. Estrogen